A 25 year old woman complaints of intense depressed mood for last 6 months. She also reports inability to enjoy previously pleasurable activities. This symptom is known as:
1. Anhedonia
2. Avolition
3. Apathy
4. Amotivation

Correct answer: 1. Anhedonia

Explanation: Anhedonia refers to the loss of capacity to experience pleasure.The patient is unable to enjoy any thing in life. Anhedonia is seen in depression as well as schizophrenia. Avolition and apathy are the negative symptoms of schizophrenia. Avolition refers to loss of will or drive to indulge in goal directed activities Apathy refers to loss of concern for an idea or task or results.